Treatment of stage IIIB in Ca cervix is-
1. Wertheim's hysterectomy
2. Mitra operation
3. Chemoradiation
4. Primary radiotherapy

Correct answer: 3. Chemoradiation

Explanation: Ans. is 'c' i.e., Chemoradiation Stagewise management of carcinoma cervixStage IA1 & Ca in situo Young female - conizationo Old female - simple hysterectomy (TAH+BSO)Stage IA1-IIAo Surgery - Wertheim's / radical hysterectomyo in stage 1A2 & IB 1, in young female radical hysterectomy can be doneStage IB2& IIo Chemoradiation & surgery are equivalent. After surgery if risk factors are present, radiation is needed.Stage IIB -1VAo ChemoradiationStage IVBo Chemotherapy - cisplatin alone or in combination with local irradiationAdenocarcinoma in situo Hysterectomy is the treatment of choiceo Diagnostic excisional procedures can be performed in women want to preserve their reproductive function. Endocervical curettage should be done at the time of resection.